Potassium  is  maximally  absorbed  in which part of nephron?
1. Proximal convoluted tubules
2. DCT
3. Collecting ducts
4. Loop of Henle

Correct answer: 1. Proximal convoluted tubules

Explanation: POTASSIUM: REABSORPTION AND SECRETION
•  K+ is the only electrolyte that is reabsorbed as well as secreted.
•  65% of the K+ is reabsorbed in PCT, 25% in loop and <10% reaches the distal nephron.
•  Active reabsorption in PCT; secreted in DCT (Maximum  secretion).  K+ secretion is decreased when the amount of Na+ reaching the DCT is small.
•  K+ secretion is also decreased when the H+ secretion is increased.
•  In DCT, Na+ is reabsorbed and K+ and H+ compete for their secretion for the amount of Na +  reabsorbed.
•  For K+ and H+ , remember  the  terms  ‘hypokalemic alkalosis and hyperkalemic acidosis’